Severe malnutrition is defined in adults with BMI less than
1. 18.5
2. 16
3. 13
4. 11

Correct answer: 2. 16

Explanation: Body mass index (BMI) BMI = wt (kg)/ ht (m)2 Example: an adult of 70 kg with a height of 1.75 m has a BMI of 70/1.752= 22.9 kg/m2 * BMI is a useful way of identifying under- or over-nutrition but cannot discriminate between lean body or muscle mass and fat mass Ref Harrison 20th edition pg 76